45 yrs old Ramlal has intraabdominal sepsis. The causative organism was found to be vancomycin, gentamycin and ampicillin resistant. It grows well in presence of 6.5% NaCl and arginine. Bile esculin hydrolysis is positive. Which of the following is this organism
1. Streptococcus agalactiae
2. Enterococcus fecalis
3. Streptococcus bovis
4. Streptococcus pneumoniae

Correct answer: 2. Enterococcus fecalis

Explanation: Enterococci are present in the intestine, genital tract and saliva. They are frequently isolated from cases of urinary tract infection and wound infection. Also causes endocarditis, infection of the biliary tract, septicemia and intra-abdominal abscess complicating diverticulitis and peritonitis. Strains resistant to Penicillin and other antibiotics occur frequently, so it is essential to perform antibiotic sensitivity for proper therapy. Enterococci are intrinsically resistant to cephalosporins and offer low-level resistance to aminoglycosides. In penicillin-sensitive strains, synergism occurs with combination treatment with Penicillin and aminoglycosides. If strains showed high-level resistance to aminoglycosides, this synergism does not occur. The drug of choice in such cases is vancomycin. Recently vancomycin-resistant Enterococci have begun to emerge. The phenotypes are Van A, B, C, D and E. The mechanism is an alteration of D-alanyl-D-alanine chain in the cell wall. Reference: Textbook of Microbiology; Anathanarayan and paniker's; 10th edition; Page no: 219, 220